Carboxypeptidase contains which mineral ?
1. Copper
2. Zinc
3. Iron
4. None

Correct answer: 2. Zinc

Explanation: Ans. is 'b' i.e., Zinc Zinc containing enzymes are carboxypeptidase, carbonic anhydrase, alkaline phosphatase, lactate dehydrogenase, alcohol dehydrogenase, glutamate dehydrogenase, RNA polymerase and superoxide dismutase.